Most common bone secondaries from
1. Carcinoma kidney
2. Carcinoma breast
3. Carcinoma prostrate
4. Carcinoma thyroid

Correct answer: 2. Carcinoma breast

Explanation: (B) (Carcinoma breast) (1085-CSDT 13th)METASTATIC BONE TUMORS:* 80% of these metastatic lesions are from primary carcinoma-particularly of the Breast, Prostate, lung, kidney, thyroid, pancreas or stomach in that order of frequency (1202-CSDT 12th).* Most common primary source of solitary skeletal metastasis at the time of first diagnosis is carcinoma of the kidney (1202 CSDT 12,h).* Most common site of bony metastasis in carcinoma breast goes to - Lumber vertebra**.* Most common quadrant site in carcinoma breast is - upper outer quadrant***.A) MOST COMMON CAUSE OF OSTEOBLASTIC SECONDARY* In males - Prostate cancer* In females - Breast cancerB) MOST COMMON CAUSE OF OSTEOLYTIC METASTASIS* In males - Lung cancers* In females - Breast cancersC) LYTIC EXPANSILE METASTASIS* Thyroid* Renal carcinoma